DOC for pregnant females travelling to areas endemic to chloroquine resistant P-falciparum:
1. Primaquine
2. Doxycycline
3. Amodiaquine
4. Mefloquine

Correct answer: 4. Mefloquine

Explanation: Ans. is d, i.e MefloquineRef Williams 24/e, pg1257MalariaDOC* Chloroquine sensitive malasias treatment* Chloroquine resistant P. Falciparum treatment* Intermittent Preventive therapy* Chloroquine sensitive malaria - prophylaxis* Chloroquin resistant P. falciparum - prophylaxis* Antimalarials contraindicated during pregnancy* Insufficient data for use in pregnancy* Chloroquine followed by primaquine postpartum for radical cure.* Quinine sulphate + Clindamycin or Mefloquine* Sulfadoxine- pyrimethamine* Chloroquine/hydroxy chloroquine* Mefloquine* Primaquine* Doxycycline* Proguanil* Amodiaquine